Partogram is used for:
1. Determining pattern of fetal heart rate
2. Determining position of cervix
3. Assessing integrity of utero-placental unit
4. Recording progress of labour

Correct answer: 4. Recording progress of labour

Explanation: Ans. D: Recording progress of labour Partograph is a composite graphical record of key data (maternal and fetal) during labour, entered against time on a single sheet of paper Remember: Assessment of labour is best done by partogram Graph showing relationship between cervical dilatation and labour is cervicograph Bishop's score includes: Position of cervix Consistence of cervix Dilatation of cervix Effacement of cervix Station of head